The size beyond which the risk of rupture of an abdominal aneurysm significantly increases is greater than -
1. 5.5 cm
2. 6 cm
3. 6.5 cm
4. 7 cm

Correct answer: 1. 5.5 cm

Explanation: Ans. is 'a' i.e., 5.5 cm o Factor most closely associated with the risk of rupture of the abdominal aortic aneurysm is size of aneurysm (i.e. size > 5.5 cm)